A 20-years old male presents with anterior shoulder dislocation. This injury is usually caused as a combination of which of the following -
1. Abduction & external rotation
2. Adduction & external rotation
3. Abduction & internal rotation
4. Adduction & internal rotation

Correct answer: 1. Abduction & external rotation

Explanation: Most common mechanism of injury for anterior dislocation of shoulder is fall on outstretched hand or throwing, with abduction, external rotation, and extension at shoulder.

Anterior shoulder dislocation

Indirect force (most common) →  Abduction, external rotation, extension.
Direct force (less common)    →  Blow from the posterior aspect of shoulder.